Pleural effusion in rheumatoid arthritis is typically associated with all of the following features except?
1. Glucose > 620 mg/dl
2. Protein> 3 gm/dl
3. Pleural fluid protein to serum protein ratio of > 0.5
4. Pleural fluid LDH to serum LDH ratio of >0.6

Correct answer: 1. Glucose > 620 mg/dl

Explanation: Since Rheumatoid arthritis is an inflammatory disease, the rheumatoid effusion is an exudate and is known to have glucose of less than 60mg/dL. Malignancy and bacterial infections (empyema) can also present with low pleural fluid sugar.